Which antibody is diagnostic of mixed connective tissue disease
1. Anti-histidyl t-RNA synthetase
2. Anti-U1-ribonucleoprotein
3. Anti-Myeloperoxidase
4. Anti-Proteinase-3

Correct answer: 2. Anti-U1-ribonucleoprotein

Explanation: Anti-U1-ribonucleoprotein - MCTD
Anti-histidyl t-RNA synthetase - Inflammatory myopathies.